Ego's defense mechanism "Undoing" is typically seen in:
1. Depression
2. Schizophrenia
3. Obsessive compulsive neurosis
4. Hysteria

Correct answer: 3. Obsessive compulsive neurosis

Explanation: Defense mechanism are used by ego to prevent build up of excessive anxiety. They are unconscious Undoing is typically seen in obsessive compulsive disorder (OCD). It is an act done to nullify the previous act. Other defense mechanism seen in OCD- Displacement- Transfer of emotions from one individual to another Reaction formation- Transforming an impulse into its exact behavior Inhibition (Aim inhibition)- Accepting partial fulfillment of desires Isolation of effect- Removing feelings associated with a stressful event.